Teichoic acid is present in cell walls of
1. Gram positive bacteria
2. Gram negative bacteria
3. Yeast
4. Protozoa

Correct answer: 1. Gram positive bacteria